Albumin does not pass through the glomerulus due to the presence of?
1. Proteoglycans
2. Glycolipid
3. Phospholipid
4. Carbohydrates

Correct answer: 1. Proteoglycans

Explanation: Ans. a (Proteoglycans). (Ref. Ganong, Physiology, 21st/pg.710)Albumin is small plasma protein with molecular weight 69,000.The basement portion of glomerulus is lined by proteoglycans that have strong negative electrical charge and the plasma proteins also have strong negative electrical charge and therefore albumin is not allowed to pass through the glomerulus.